A patient made a self-diagnosis of athlete's foot (Tinea pedis) and began using a product advertised on television. The condition improved but did not clear and then the patient showed himself to a Dermatologist. A skin scraping was sent to the laboratory for culture, including culture for fungi. The fungal culture yielded a slow growing colony, which produces abundant microconidia . This is consistent with isolation of a dermatophyte of the genera -
1. Trichophyton
2. Microsporum
3. Epidermophyton
4. Trichosporon

Correct answer: 1. Trichophyton

Explanation: * Dermatophytes can be identified by their colonial appearance and microscopic morphology after growth for 2 weeks at 25degC on Sabouraud's dextrose agar. * Differential diagnosis of Dermatophytes on the basis of Macroconidia and microconidia. General characteristics of macroconidia and microconidia of dermatophytes General Microconidia (b) Macroconidia (a) Trichophyton Abundant microconidia, arranged in clusters along hyphae Relatively scanty, elongated with blunt ends (Pencil shaped), thin walled Microsporum Rare, Single microconidia (multicellular) Numerous, Single macroconidia (multicellular) spindle shaped, thick walled, rough Epidermophyton No microconidia Club shaped or boat shape a-Macroconidia b-Microconidia